MC complication following hemorrhoidectomy is:
1. Hemorrhage
2. Infection
3. Fecal impaction
4. Urinary retention

Correct answer: 4. Urinary retention

Explanation: Ans. D i.e. Urinary retention